Which of the following is a DMARD ?
1. Desferrioxamine
2. Penicillamine
3. Succimer
4. Dimercaprol

Correct answer: 2. Penicillamine